Level 1 axillary lymph node are present:
1. Lateral to pectoralis minor
2. Medial to pectoralis minor
3. Lateral to pectoralis major
4. Medial to pectoralis major

Correct answer: 1. Lateral to pectoralis minor

Explanation: Levels of Axillary lymph nodes are important to study and understand the metastasis of breast cancer.